Which of the following statement about phenytoin is true ?
1. It follows zero order kinetics
2. It is not teratogenic
3. It is excreted unchanged in urine
4. It does not induce microsomal enzymes

Correct answer: 1. It follows zero order kinetics